B/L hilar lymphadenopathy, along with non caseating granulomas is a characteristic feature of:
1. Sarcoidosis
2. Scleroderma
3. SLE
4. Stein-leventhal syndrome

Correct answer: 1. Sarcoidosis

Explanation: Answer is A (Sarcoidosis): The presence of non-caseating granuloma, along with bilateral hilar lymphadenopathy, goes strongly in favour of a diagnosis of Sarcoidosis'. Sarcoid granulomas: The inflammatory process in sarcoidosis is characterized by formation of sarcoid granulomas in various organs. - Harrisons 161h/ 2018 Giant Cells within granulomas can be of Langerhan's or Foreign body variety and often contain inclusions bodies: Inclusions seen in giant cells in sarcoidosis. (Remember as SARcoidosis) - Schaumann bodiesdeg - Asteroid bodiesdeg - Residual bodiesdeg